Allograft is defined as -
1. Graft from oneself
2. Graft from identical twin
3. Graft from member of same species
4. Graft from other species

Correct answer: 3. Graft from member of same species

Explanation: The tissue or organ transplanted is known as graft. An allograft is a graft between two genetically non-identical members of the same species. It is also called as homograft Reference: Anathanarayan & paniker's 9th edition, pg no:184